Dilated pupil with coma is seen in which poisoning -
1. Opium
2. Dhatura
3. Mushroom
4. Pilocarpus

Correct answer: 2. Dhatura